Inhibition of 5-lipooxygenase is useful in:
1. Cardiac failure
2. Bronchial asthma
3. Hepatic failure
4. Arthritis

Correct answer: 2. Bronchial asthma

Explanation: Ans. (B) Bronchial asthma(Ref: KDT 8th/e p248, 249)Leukotrienes are potent bronchoconstricting agents. These agents play a major role in the pathogenesis of bronchial asthma. The drugs acting by inhibiting their synthesis (i.e. lipoxygenase inhibitors) or action (Cys-LT receptor antagonists), are useful in the prophylaxis of bronchial asthma.